patient has blood glucose of 200 mg / dl, GFR = 90 ml / min, transport maximum for glucose = 150 mg / min. What is the amount of glucose excreted?
1. 30 mg / min
2. 40 mg / min
3. 20 mg / min
4. 50 mg / min

Correct answer: 1. 30 mg / min

Explanation: Blood glucose
= 200 mg /dl = 200 mg / 100 ml
= 2 mg / ml
Filtered load of glucose  
= GFR × Blood glucose
= 90 × 2
= 180 mg/min
Amount of glucose excreted = Filtered load – Transport maximum
= 180 – 150
= 30 g/min